The child survival and safe mother hood (CSSM) programme includes all except -
1. Essential newborn care
2. Acute respiratory disease control
3. Nutrition supplementation
4. Universal immunization

Correct answer: 3. Nutrition supplementation

Explanation: Ans. is 'c' i.e., Nutritional Supplementation